Fatal period in sulphuric acid poisoning is :
1. 2-4 hours
2. 6-10 hoursd
3. 12-16 hours
4. 8-14 hours

Correct answer: 3. 12-16 hours

Explanation: C i.e. 12 -16 hours